Pulp chamber is absent in:
1. Dentinogenesis imperfecta
2. Amelogenesis imperfecta
3. Craniofacial dysostosis
4. None of the above

Correct answer: 1. Dentinogenesis imperfecta

Explanation: Dentinogenesis imperfecta is an autosomal dominant condition affecting both deciduous and permanent teeth. Affected teeth are gray to yellowish-brown and have broad crowns with constriction of the cervical area resulting in a ‘tulip’ shape. Radiographically, the teeth appear solid, lacking pulp chambers and root canals. Enamel is easily broken leading to exposure of dentin that undergoes accelerated attrition.
Ref: Shafer's textbook of oral pathology 7th edition page 55